Most commonly seen Choledochal cyst
1. Type I
2. Type II
3. Type III
4. Type IV

Correct answer: 1. Type I

Explanation: Most common Choledochal cyst Type I>Type IV >Type III Type I is the most common It is the dilation of extrahepatic biliary tree Type Ia: cystic dilation Type Ib: Focal segmental dilation Type Ic : Fusiform dilation Treatment : Roux-en-Y hepatic jejunostomy Ref: Sabiston 20th edition 1510-1511